Osmolality of plasma in a normal adult:
1. 320-330 mOsm/L
2. 300-310 mOsm/ L
3. 280-290 mOsm/ L
4. 260-270 mOsm/ L

Correct answer: 3. 280-290 mOsm/ L

Explanation: Ans. C: 280-290 mOsm/L Plasma osmolality is a measure of the concentration of substances such as sodium, chloride, potassium, urea, glucose, and other ions in blood Osmolal concencentration of plasma is 290 mOsm/L Osmolality of blood increases with dehydration and decreases with overhydration. In normal people, increased osmolality in the blood will stimulate secretion of antidiuretic hormone (ADH). This will result in increased water reabsorption, more concentrated urine, and less concentrated blood plasma. A low serum osmolality will suppress the release of ADH, resulting in decreased water reabsorption and more concentrated plasma.